Dorello canal transmitts
1. Middle meningeal artery
2. Mandibular nerve
3. Superior alveolar branch of maxillary nerve
4. Abducent nerve

Correct answer: 4. Abducent nerve

Explanation: Dorello's Canal is the bow-shaped bony enclosure surrounding the abducens nerve and the inferior petrosal sinus as the two structures merge with the cavernous sinus. This canal is named after the famous Italian anatomist Primo Dorello, who proved the existence of this canal after a series of meticulous dissections . Ref - pubmed.com